Cotard's syndrome has
1. Persecutory delusions
2. delusion of marital infedility
3. Nihilistic delusions
4. referential delusions

Correct answer: 3. Nihilistic delusions

Explanation: In the 19th century, the French psychiatrist Jules Cotard described several patients with a syndrome called delire de negation. sometimes referred to as nihilistic delusional disorder or Cotard syndrome. Patients with the syndrome complain of having lost not only possessions, status, and strength but also their heart, blood, and intestines. this is more commonly seen in depression. persecutory and referential delusions are common in psychosis like schizophrenia delusion of marital infedility is common in othello syndrome Reference: Kaplan & Sadock's Synopsis of Psychiatry, 11th edition, Page 336,307